Maximum fetal skull diameter is:
1. Biparietal diameter
2. Mentovertical
3. Occipitobregmatic
4. Occipitofrontal

Correct answer: 2. Mentovertical

Explanation: Ans, B. MentoverticalRef: DC Dutta. Chapter fetal skull and maternal pelvis, p85ExplanationAll diameters are as follows:A. Suboccipito-bregmatic 9.5 cmB. Suboccipito-frontal 10 cmC. Occipitofrontal 11.5 cmD. Mentovertical 14 cmE. Submentovertical 11.5 cmF. Submentobregmatic 9.5 cm